After/ secondary cataract is opacity of lens:
1. After extracapsular extraction of the lens
2. After Nd: YAG laser irodotomy
3. After peripheral iridectomy
4. Due to nutritional deficiency

Correct answer: 1. After extracapsular extraction of the lens

Explanation: Ans. A i.e. After extracapsular extraction of the lens